Vogel gesicht refer to:
1. Inhibited growth of mandible due to ankylosis of TMJ
2. Inhibited growth of maxilla due to trauma at birth
3. Cleft lip and palate
4. Overall retarded growth of body parts

Correct answer: 1. Inhibited growth of mandible due to ankylosis of TMJ

Explanation: Vogel gesicht is the inhibited growth of mandible due to ankylosis of TMJ, which may be due to developmental defects or due to trauma at birth.